Mortality rates are taken into account while calculating:
1. General fertility rate
2. NRR
3. Total fertility rate
4. Gross reproduction rate

Correct answer: 2. NRR

Explanation: Ans. B: NRR Net reproduction rate measures the number of daughters a woman would have in her lifetime if she experiences prevailing age-specific fertility and mortality rates Net reproduction rate/NRR It is the average number of daughters that would be born to a female (or a group of females) if she passed through her lifetime conforming to the age-specific fertility and mortality rates of a given year. This rate is similar to the gross reproduction rate but takes into account that some females will die before completing their childbearing years. An NRR of one means that each generation of mothers is having exactly enough daughters to replace themselves in the population. The NRR is particularly relevant where sex ratios at birth are significantly affected by the use of reproductive technologies, or where life expectancy is low Total fertility rate/ TFR/ Fertility rate/ Period total fertility rate (PTFR)/ Total period fertility rate (TPFR) It is the average number of children that would be born to a woman over her lifetime if (1) she were to experience the exact current age-specific fertility rates (ASFRs) through her lifetime, and (2) she were to survive from birth through the end of her reproductive life. It is obtained by summing the single-year age-specific rates at a given time.